Underlying pathology of Nevus anemicus is:
1. Autoimmune destruction of melanocytes
2. Arrest of migration of melanocytes
3. Abnormal vasoconstriction
4. Defect in tyrosinase enzyme

Correct answer: 3. Abnormal vasoconstriction

Explanation: Nevus anemicus presents as a localized area of skin blanching and hypopigmentation because of abnormal vasoconstriction due to increased sensitivity of blood vessels to catecholamines.